All the following diseases are associated with peripheral blood eosinophilia except-
1. Allergic bronchopulmonary aspergillosis (ABPA)
2. Loffler's syndrome
3. Pulmonary eosinophilic granuloma
4. Churg strauss syndrome

Correct answer: 3. Pulmonary eosinophilic granuloma